Fetal nuchal skin thickness is useful in detecting:
1. Fetal infection
2. Down syndrome
3. Anencephaly
4. Hydrops fetalis

Correct answer: 2. Down syndrome

Explanation: Ans: B i.e. Down syndrome Increased fetal nuchal skin thickness (in first trimester) of more than 3 mm by TVS is a strong marker for chromosomal anomalies (trisomy 21, 18, 13, triploidy and Turner's syndrome).